Most common type of mesentric cyst is
1. Entergenous cyst
2. Chelolymphalic cyst
3. O mental cyst
4. Urogenital cyst

Correct answer: 2. Chelolymphalic cyst

Explanation: Chelolymphalic cyst :

It is commonest type of mesentric cyst.
It has congenital misplaced lymphatic tissue.